Most common dose related side effects of salbutamol is :
1. Nervousness
2. Palpitations
3. Restlessness
4. Tremors

Correct answer: 4. Tremors